Most common nerve injured during normal vaginal delivery is
1. Femoral nerve
2. Lateral femoral cutaneous nerve
3. Iliohypogastric nerve
4. Ilioinguinal nerve

Correct answer: 2. Lateral femoral cutaneous nerve

Explanation: Most common nerve injured during vaginal delivery - Lateral femoral cutaneous nerve followed by femoral nerve Most common nerve injured during cesarean section - Iliohypogastric nerve and Ilioinguinal nerve Ref: Williams Obs 24e pg 677.